A 29-year-old man comes to a local hospital with duodenal peptic ulcer and complains of cramping epigastric pain. Which of the following structures harbors the cell bodies of abdominal pain fibers?
1. Lateral horn of the spinal cord
2. Anterior horn of the spinal cord
3. Dorsal root ganglion
4. Sympathetic chain ganglion

Correct answer: 3. Dorsal root ganglion

Explanation: Cell bodies of the abdominal pain fibers are located in the dorsal root ganglion. The lateral horn of the spinal cord contains cell bodies of sympathetic preganglionic nerve fibers; Anterior horn contains cell bodies of general somatic efferent (GSE) fibers. The sympathetic chain ganglion contains cell bodies of sympathetic postganglionic fibers, which supply blood vessels, sweat glands, and hair follicles. The celiac ganglion contains cell bodies of sympathetic postganglionic fibers, which supply the visceral organs such as stomach and intestine.